Molluscum contagiosu m virus belongs to -
1. Poxviruses
2. Herpesviruses
3. Picornaviruses
4. Adenovirus

Correct answer: 1. Poxviruses

Explanation: Ans. is 'a' i.e., Poxviruses o Among the given options, smallpox (variola) virus and molluscum contagiosum affect human as their primary host.o Small pox has been eradicated,o Molluscum contagiosum is a common skin infection.Poxviruses causing disease in humansGenusVirusPrimary HostDisease VariolaHumanSmallpox (new eliminated)VacciniaHumansLocalized lesion; used for smallpox vaccinationBuffalopoxWater buffaloHuman infections rare; localized lesionOrthopoxvirusMonkeypoxRodents, monkeysHuman infections rare; generalized diseaseCowpoxCowsHuman infections rare; localized ulcerating lesion OrfSheepHuman infections rare; localized lesionParapoxvirusPseudocowpoxCows Bovine papular stomatitisCows Mol fuse ipoxvirusMotluscum contagiosumHumansMany benign skin nodulesYaiapoxvirusTanapoxMonkeysHuman infections rare; localized lesionYabpoxMonkeysHuman infections very rare and accidental; localized skin tumors